Which part of brain presents in Turkish saddle shaped space in cranium:
1. Pituitary
2. Frontal lobe
3. Hypothalamus
4. Basal ganglia

Correct answer: 1. Pituitary

Explanation: Ans. (a) Pituitary